For vascular anastomosis sutures of choice
1. Polypropylene
2. Chromic catgut
3. Silk
4. Nylon

Correct answer: 1. Polypropylene

Explanation: Answer- A. PolypropyleneVascular anastomoses require an extremely accurate closure as they must be immediately watertight at the end of the operation when the vascular clamps are removed.In many cases, some form of prosthetic material or graft may be used which will never be integrated into the body tissues and so the integrity of the suture line needs to be permanent.For this reason, polypropylene is one of the best sutures as it is not biodegradable. It is used in its monofilament form,mounted on an atraumatic, curved, round bodied needle.